Composition of Varnish is:
1. 10% copal resin+90%solvent
2. 90% copal resin+10%solvent
3. 50% copal resin+50% solvent
4. 39% copal resin+70%solvent

Correct answer: 1. 10% copal resin+90%solvent